Raspberry tongue is a feature of
1. Yellow fever
2. Scarlet fever
3. Katayama fever
4. Mamba's disease

Correct answer: 2. Scarlet fever

Explanation: Strawberry or raspberry tongue is seen in kawasaki disease and scarlet fever.